Anti cancer drug causing nephrotoxicity
1. Cyclophosphamide
2. Busulfan
3. Cisplatin
4. Procarbazine

Correct answer: 3. Cisplatin